Most common cause of acute pancreatitis is -
1. Biliary tract diseases
2. Alcoholism
3. Post traumatic
4. Idiopathic

Correct answer: 1. Biliary tract diseases